A preterm baby developed bullous lesion on the skin soon after birth. The X- ray shows periostitis. What should be the next investigation?
1. VDRL for mother & baby
2. ELISA for HIV
3. PCR for TB
4. Hepatitis surface antigen for mother

Correct answer: 1. VDRL for mother & baby

Explanation: The baby described in the question stem is most likely suffering from the early manifestations of congenital syphilis. As per the choices given VDRL is the test done to diagnose syphilis. Ref: Harrison's Principles of Internal Medicine, 16th Edition, Page 981; Skin Diseases & Sexually Transmitted Infections, Uday Khopkar - 6th Edition, Page 257; Nelson 17th ,COGDT 10th Edition, Page 667;CPDT 18th Edition, Page 56.